Pre-exposure prophylaxis dose schedule for rabies vaccine given in all days except ?
1. Day 0
2. Day 3
3. Day 7
4. Day 28

Correct answer: 2. Day 3

Explanation: Ans. is 'b' i.e., Day 3 Prevention of rabies Prevention of rabies may be of following types Post exposure prophylaxis Preexposure prophylaxis Post-exposure treatment of persons who have been vaccinated previously. Schedules of vaccination for post exposure prophylaxis A. Intramuscular schedules Routine shedule- 6 doses on 0, 3, 7, 14 and 28 days with a booster on day 90. Abbreviated multisite schedule -4 2-1-1 regimen one dose is given in the right arm and one in left arm on day 0 after that one dose is given on day 7 and 21. B. Intradremal schedules 2-site intradermal schedule One dose of vaccine is given at each of two sites on days 0, 3, 7 and 28. 8-site intradermal schedule- On day "0" vaccine is give at 8 sites, on day 7 vaccine is given at 4 sites, and on days 28 and 90 vaccine is given at one site. Pre-exposure prophylaxis Persons who run a high risk of repeated exposure such as laboratory staff working with rabies virus, veterinarian, animal handlers and wild -life officers should be protected by pre-exposure immunization. Cell-culture vaccine given on days 0, 7 and 21 or 28 (Total 3 doses) Further booster should be given at intervals of 2 years. In post-exposure prophylaxis of immunized patient 2 day intradermal regimen ( 1 site) - Day 0 and day 3 Intramuscular regimen - Day 0 4 site intradermal regimen_ (single-visit) - Day 0